A 3-month-old child with history of passage of clay colored stools and dark yellow urine since one month was given steroids and ursodeoxycholic acid. On further investigation, he was found to have direct bilirubin of 6 mg%. Which of the following is the most sensitive investigation for the diagnosis of above-mentioned condition?
1. Ultrasound
2. HIDA scan
3. Liver function tests
4. CT abdomen

Correct answer: 2. HIDA scan

Explanation: Ans. b. HIDA scan